Most common type of human papilloma virus causing Ca cervix are :
1. 16 and 18
2. 1 and 33
3. 6 and 11
4. 2 and 14

Correct answer: 1. 16 and 18

Explanation: Ans. is a i.e. 16 and 18